Most common complication of mastectomy is:
1. Seroma
2. Hemorrhage
3. Lympnedema
4. Infection

Correct answer: 1. Seroma

Explanation: Seromas beneath the skin flaps or in the axilla represent the most frequent complication of mastectomy and axillary lymph node dissection, reportedly occurring in as many as 30% of cases. Ref: Schwartz's principle of surgery 9th edition, chapter 17.